Common presentation of duct papilloma of breast is?
1. Bloody nipple discharge
2. Mass in breast
3. Breast eczema
4. Pagets disease

Correct answer: 1. Bloody nipple discharge

Explanation: ANSWER: (A) Bloody nipple dischargeREF: Bailey and love 24th ed p. 828 Duct papillomaTrue polyps of epithelium lined breast ductsBenign and not precancerousSolitary and located under areolaLess than 1 cm in size and can grow upto 4-5 cmsMost common presentation is bloody nipple dischargeTreatment - excision of duct along with tumor known as duct excision